At what age a child's height is expected to be 100 cm?
1. 2 years
2. 3 years
3. 4 years
4. 5 years

Correct answer: 3. 4 years

Explanation: ANSWER: (C) 4 yearsREF: Essence of Paediatrics Prof. MR Khan 4th ed page 59, Clinical Pediatrics by D. N. Chatterjee page 18 A simple rough formula for calculation height from 2-14 years is:Height in inches = (2.5 x age in years) + 30* Thus the expected height at 4 year of age = (2.5 x 4) + 30 = 40 inches* As 1 inch = 2.5 cm, 40 inches = 100 cm